All are true about sphincter urethrae except
1. Voluntary
2. Supplied by Pudendal nerve
3. Originates from the ischiopubic rami
4. Located at bladder neck

Correct answer: 4. Located at bladder neck

Explanation: The urethral sphincter is two muscles used to control the exit of urine in the urinary bladder through the urethra. Two muscles either the female or male, external urethral sphincter and internal urethral sphincter. ref - BDC vol2 pg376,380